Visual cortex is supplied by :
1. Anterior cerebral artery
2. Media cerebral artery
3. Posterior cerebral artery
4. Anterior inferior cerebellar artery

Correct answer: 3. Posterior cerebral artery

Explanation: C i.e., Posterior cerebral artery Posterior cerebral artery (PCA) supply blood to occipital lobe (i.e. visual or striate cortex), temporal lobe, thalamusQ lentiform nucleus, pineal & medial geniculate body, choroids plexus of inferior horn of lateral ventricle & 3rd ventricle and mid brain. Occipital lobe or visual cortex is supplied by posterior cerebral arteryPosterior cerebral artery supply occipital lobe (medial & lateral surface), temporal lobe (inferolateral & medial surface) i.e., visual cortex. It also supply parts of thalmus, lentiform nucleus, mid brain, pineal & medial geniculate bodies, choroid plexus of 3rd ventricle, and inferior horn of lateral ventricle.